Anticoagulant not requiring routine coagulation profile monitoring post dosing is:
1. Warfarin
2. Dabigatran etexilate
3. Argatroban
4. Phenprocoumon

Correct answer: 2. Dabigatran etexilate

Explanation: Ref. KDT. Page. 617
Dabigatran:

Dabigatran, the main active principle in plasma, is a rapid-acting competitive and reversible direct inhibitor of thrombin.
Dabigatran inhibits free thrombin, fibrin-bound thrombin and thrombin-induced platelet aggregation.
It may increase INR but this laboratory parameter is relatively insensitive to the activity of dabigatran -  monitoring is not required
CYP450 enzymes are not involved in the metabolism of dabigatran thus is not expected to interact with drugs metabolized by CYP isoenzyme
Mainly excreted in urine (85%)
The most common adverse reactions include dyspepsia or gastritis-like symptoms.